Early stage of trauma is characterized by:
1. Catabolism
2. Anabolism
3. Glycogenesis
4. Lipogenesis

Correct answer: 1. Catabolism

Explanation: Ans. (a) Catabolism* Initial phase of trauma is Phase of catabolism"# Begins at the time of injury and lasts 2-5 days# Stress hormones are released.